Radio isotope Preferred for measuring GFR:
1. OIH
2. DMSA
3. DTPA
4. MAG 3

Correct answer: 3. DTPA

Explanation: Functional / Dynamic Renography * Done with Tc99m DTPA / Tc99m - MAG3 * Tc99m DTPA -evaluate G.F.R * Tc99m MAG3 - evaluate Renal function Renal perfusion Renal plasma flow